In takayasu arteritis there is
1. Loss of pulses
2. Renal hypertension
3. Coronary aneurysm or its dilation
4. All of the above

Correct answer: 4. All of the above

Explanation: Takayasu arteritis affects the aorta, its major branches and occasionally the pulmonary arteries. The typical age at onset is 25-30 years, with an 8 : 1 female-to-male ratio. It has a worldwide distribution but is most common in Asia. Takayasu arteritis is characterised by granulomatous inflammation of the vessel wall, leading to occlusion or weakening of the vessel wall. It presents with claudication, fever, arthralgia and weight loss. Clinical examination may reveal loss of pulses, bruits, hypertension and aortic incompetence. Investigation will identify an acute phase response and normocytic, normochromic anaemia but the diagnosis is based on angiography, which reveals coarctation, occlusion and aneurysmal dilatation. Treatment is with high-dose glucocorticoids and immunosuppressants, as described for ANCA-associated vasculitis. With successful treatment, the 5-year survival is 83%. Ref - Davidsons 23e p 1041